All of the following are free radical scavengers except
1. Superoxide dismutase
2. Glutathione peroxidase
3. Catalase
4. Hydrogen peroxide

Correct answer: 4. Hydrogen peroxide

Explanation: Cells have developed many mechanisms to remove free radicals and thereby minimize injury Antioxidant enzymes include glutathione peroxidase, SOD and catalase. Hydrogen peroxide is one of the free radical involved in causing injury Reference: Robbins and Cotran Pathologic Basis of Disease, page 48, 9th edition; Chapter 2